Venous ulcer has following characteristics except
1. Irregular wound margins
2. Deep pale wound bed
3. Usually no pain
4. Ruddy, granular tissue

Correct answer: 2. Deep pale wound bed

Explanation: Venous ulcer is superficial wound.